Iodine content in amiodarone -
1. 10 - 20%
2. 20 - 40%
3. 40 - 60%
4. 60 - 80%

Correct answer: 2. 20 - 40%

Explanation: Ans. is 'b' i.e., 20 - 40%